Histology of Myositis ossificans mimics -
1. Osteosarcoma
2. Osteochondroma
3. GCT
4. Ewing's tumour

Correct answer: 1. Osteosarcoma

Explanation: Histologically myositis ossificans mimics osteosarcoma.
They can be differentiated by zone phenomenon :-

Osteogenic sarcoma → Central zone contains mature cells and peripheral zone contains more active immature cells.
Myositis ossificans → Central zone contains active immature cells and peripheral zone contains more mature cells.